Diplopia is characteristic feature of
1. Concomitant squint
2. Non-paralytic squint
3. Paralytic squint
4. Latent squint

Correct answer: 3. Paralytic squint

Explanation: Signs of paralytic squint:
1. Primary deviation.  
2. Secondary deviation.  
3. Restriction of ocular movements. 
4. Compensatory head posture.  
5. False protection.